A six-year-old girl has brief, irregular contractions in her feet; symptoms are suspected to be a result of an untreated strep infection. What is the diagnosis?
1. Chorea gravidarum
2. Chorea major
3. Ballism
4. Sydenham chorea

Correct answer: 4. Sydenham chorea

Explanation: Sydenham chorea (St. Vitus dance) - commonest chorea. occurs mainly in girls as a sequela to rheumatic fever. Chorea major (Huntington's disease) -inherited disorder manifests as choreiform movements and progressive dementia. Chorea gravidarum occurs during the 2nd trimester of pregnancy. Ballism and hemiballism -violent flinging movement of one or both extremities due to infarct of the subthalamic nucleus.